Schaumann bodies are seen in:
1. Sarcoidosis
2. Chronic bronchitis
3. Asthma
4. Syphilis

Correct answer: 1. Sarcoidosis

Explanation: Ans. (a) Sarcoidosis(Ref: Robbins 9th/pg 693-694)Histology in Sarcoidosis:Well-formed non-caseating granulomas Q composed of an aggregate of tightly clustered epithelioid cells Q, with Langhans or foreign body-type giant cells; Central necrosis is unusual. QSchaumann bodies: laminated concretions composed of calcium and proteins QAsteroid bodies: Stellate inclusions enclosed within giant cells Q